Factor IX deficiency results in increased -
1. PT (Prothrombin Time)
2. PTT (Partial thromboplastin time)
3. BT (Bleeding Time)
4. TT (Thrombin time)

Correct answer: 2. PTT (Partial thromboplastin time)

Explanation: Ans. is 'b' i.e., PTT (Partial thromboplastin time) o Partial thromboplastin time (PTT): It tests the intrinsic and common coagulation pathways. So, a prolonged PTT can results from deficiency of factor V, VIII (factor VIIIc, Von willebrand factor), IX, X, XI, XII, prothrombin or fibrinogen.o Prothrombin time (PT): It tests the extrinsic and common coagulation pathways. So, a prolonged PT can results from deficiency offactor V, VII, X, prothrombin or fibrinogen.# Thus in common coagulation pathway defect both PT and PTT are elevatedo Activated clotting time (clotting time): It also tests the intrinsic and common coagulation system. So it is prolonged in deficiency of same factors as for prolonged PTT.o Thrombin time : It tests the conversion of fibrinogen to fibrin and is elevated in fibrinogen deficiency.o Bleeding time : this altered in platelet dysfunction.